All of the following drugs are used in the treatment of Multiple myeloma, Except:
1. Bortezomib
2. Melphelan
3. Hydroxyurea
4. Cyclophosphamide

Correct answer: 3. Hydroxyurea

Explanation: Answer is C (Hydroxyurea) Hydroxyurea is not used in the management of Multiple Myeloma.